Hormones, which stimulate spermatogenesis, are:
1. Insulin and glucagon
2. Thyroxine and parathormone
3. A.D.H. and Oxytocin
4. Testosterone and F.S.H

Correct answer: 4. Testosterone and F.S.H